Iron and folic acid supplementation forms
1. Health promotion
2. Primordial prevention
3. Specific protection
4. Secondary prevention

Correct answer: 3. Specific protection

Explanation: Specific protection is a part of primary prevention.
Specific protection includes protection of health by personal and community efforts such as enhancing nutritional status, providing immunizations and eliminating environmental risks.